Immunoglobulin changes in variable region ?
1. ldiotype
2. Isotype
3. A llotype
4. Epitope

Correct answer: 1. ldiotype

Explanation: Ans. is 'a' i.e., Idiotype